A very high PEEP results in
1. Hypertension
2. Hypothermia
3. Hypotension
4. Hyperthermia

Correct answer: 3. Hypotension

Explanation: Hypotension is due to diminished central venous blood return to the heart secondary to elevated intrathoracic pressures.